Palmar interossei is supplied by
1. Superficial branch of ulnar nerve
2. Deep branch of ulnar nerve
3. Superficial branch of medial nerve
4. Radial nerve

Correct answer: 2. Deep branch of ulnar nerve

Explanation: All palmar interossei are supplied by the deep branch of the ulnar nerve (C8, T1). Ref : B D Chaurasia's Human Anatomy, Seventh edition , volume 1 , pg. no, 124